Most potent cholegogue is __________
1. Bile salts
2. Bile acids
3. CCK
4. GIP

Correct answer: 3. CCK

Explanation: Cholagogue causes gall bladder contraction. Most potent cholagogue in CCK.